In human body the action of surfactant is done by
1. Sugar and salt
2. Soap and water
3. Lipid and protein
4. Base and lipid

Correct answer: 3. Lipid and protein